Weight in Kg is -
1. Normal variable
2. Discrete variable
3. Confounding variable
4. Continuous variable

Correct answer: 4. Continuous variable